Podophyllum resin is indicated in the treatment of –
1. Psoriasis
2. Pemphigus
3. Condyloma acuminata
4. Condylomata lata

Correct answer: 3. Condyloma acuminata

Explanation: Podophylin is used in anogenital wart (condyloma accuminata).